The conversion of an optically pure isomer into a mixture of equal amounts of both dextro and levo forms is called as-
1. a) Polymerization
2. b) Stereoisomerism
3. c) Racemization
4. d) Fractionation

Correct answer: 3. c) Racemization

Explanation: Racemic Mixture - Equimolar mixture of optical isomers which has no net reaction of plane polarized light.